Rossets are not seen in -
1. Retinoblastoma
2. Medulloblastoma
3. PNET
4. Neurocysticercosis

Correct answer: 4. Neurocysticercosis

Explanation: . Neurocysticercosis